All are presentation of retinoblastoma except:
1. Leucocoria
2. Squint
3. Cataract
4. Glaucoma

Correct answer: 3. Cataract

Explanation: C i.e. Cataract